Tzank smear is for –
1. HZV
2. Psittacosis
3. Cryptococcus
4. Ricketssia

Correct answer: 1. HZV